Tangier disease is characterized by
1. Low HDL
2. Defective LDL receptors
3. No chylomicrons
4. Overproduction of VLDL

Correct answer: 1. Low HDL

Explanation: DyslipoproteinemiasDefectRemarksFamilial alpha-lipoprotein deficiencyTangier diseaseFish-eye diseaseApo-A-I deficienciesAll have a low or near absence of HDLA tendency toward hypertriacylglycerolemia as a resultof the absence of apo C-ll, causing inactive LPL. Low LDLlevels. Atherosclerosis in the elderlyRef: Harper's biochemistry; 30th edition; Chapter 26; Cholesterol Synthesis, Transport, & Excretion